Hot Potato voice is seen in
1. Ludwig’s angina
2. Peritonsillar abscess
3. Retropharyngeal space infection
4. All of the above

Correct answer: 4. All of the above

Explanation: Hot Potato Voice is seen in:
→ Retropharyngeal space infection.
→ Lateral pharyngeal / parapharyngeal / pterygomaxillary space infections.
→ Ludwig's Angina.
→ Peritonsillar abscess.
→ Acute epiglottitis in children.
→ Laryngeal tumors.